Where are Rotter's node located?
1. Infraclavicular region
2. Mediastinum
3. Supraclavicular region
4. Interpectoral region

Correct answer: 4. Interpectoral region

Explanation: Ans. (d) Interpectoral region(Ref Surgery Sixer 3rd Edition Page 266)* Rotter's Nodes are Level 2 nodes in Axilla in cancer breast. They are interpectoral nodes.